One of the following is characterised by RIM sign ?
1. Hydronephrosis (Gross)
2. Hypernephroma
3. Chronic pyelonephritis
4. Polycystic kidney

Correct answer: 1. Hydronephrosis (Gross)

Explanation: Ans is 'a' ie Hydronephrosis (Gross) We will write down, what we have got so far about the 'rim sign'. The rim sign is seen in cases of ureteral calculi. [The "rim sign," originally reported by Smith in 1995, is described as a rim, ring, or halo of soft tissue visible on CT scans that completely surrounds ureteral stones. The effect is enhanced by the local inflammation a stone produces in the ureteral wall, with subsequent edema at the site of the calculus. The rim sign is generally missing or incomplete with phleboliths. While not absolutely definitive, the rim sign is strong evidence that the calcific density it surrounds is a stone and not a phlebolith. In several studies, more than 75% of all ureteral stones demonstrated a rim sign, while only 2-8% of phleboliths demonstrated it. The rim sign is more likely to be present in small or medium stones up to 5 mm in diameter. Larger stones, bigger 6 mm, tend to lose the rim sign, presumably from stretching and thinning of the ureteral wall around a relatively large calculus. (Reff*